Leutic glossitis can occur in connection with:
1. Vitamin B deficiency
2. Vitamin C deficiency
3. Iron deficiency
4. Syphilis

Correct answer: 4. Syphilis